Nerve running along with profunda brachii artery, in spiral groove
1. Ulnar
2. Median
3. Radial
4. Musculocutaneous nerve

Correct answer: 3. Radial

Explanation: The three nerves related to humerus:-1. Axillary nerve- at surgical neck2. Radial nerve-radial/spiral groove.3. Ulnar nerve-behind medial epicondyle.SPIRAL GROOVE:-Posterior surface of humerus Lodges profunda brachial vessels and radial nerve In the spiral groove, it hives off the following branches:-Lower lateral cutaneous nerve of the arm.Posterior cutaneous nerve of forearm.Nerve to lateral head of triceps.Nerve to medial head of tricepsNerve to anconeus.At the lower end of spiral groove, the nerve pierces lateral muscular septum of the arm and enters anterior compartment of the arm.{Reference: Vishram Singh page no.24}